Management of 4 cm size renal stag horn calculus?
1. ESWL
2. PCNL
3. Intra renal repair surgery
4. Open pyelolithotomy

Correct answer: 2. PCNL

Explanation: Ans. (b) PCNLRef Smith Urology 17th edition, Page page 114; Surgery Sixer 2nd Edition, Page 735 repeat question* Latest treatment of such 4cm size Stag horn stone is "Sandwich technique"--using both ESWL and PCNL. They will break the stone into multiple pieces before and remove by PCNL.